The "in office" non vital bleaching technique is
1. Walking bleach
2. Power bleach technique
3. Thermo catalytic technique
4. Night guard technique

Correct answer: 3. Thermo catalytic technique